Infliximab -
1. CD 20 antagonist
2. 1L6 antagonist
3. Chimeric antibody against TNF alpha
4. Chimeric antibody against Her2-neu

Correct answer: 3. Chimeric antibody against TNF alpha

Explanation: Ans. is 'c' i.e., Chimeric antibody against TNF alphaMonoclonal AntibodyTargetIndicationTrastuzumabTositumomabRituximabIbritumomabDaclizumabBasiliximabAbciximabPalivizumabInfliximabEtanerceptOfatumumabBelimumabEpratuzumabOcrelizumabAdalimumabAlefaceptAlemtuzumabBevacizumabCetuximabGemtuzumabEfalizumabOmalizumabNatalizumabDonesumabTocilizumabPanitumumabRanibizomabNimotuzumabEculizumabher-2/neuCD 20CD 20CD 20II-2R (CD-25)II-2R (CD-25)GpII/IIIaFusion proteinTNF aTNF aCD 20BLySCD 22CD 20TNF aLFA-3CD 52VEGFEGFRCD 33CD 11a chain of LFAIgEIntegrin-a4RANK ligandIL-6REGFRVEGFEGFRC5 complement componentBreast cancerB-cell NHLB-cell NHLB-eell NHLImmunosuppressantImmunosuppressantAntiplateletRSVRA .Crohn's diseaseRA (rheumatoid arthritis)SLESLESLESLERAPlaque psoriasisB cell CLLColorectal carcinomaColorectal carcinomaAMLPsoriasisBronchial asthmaMultiple sclerosisOsteoporosisSLEColorectal carcinomaNeovascular macular degenerationSquamous cell carcinoma, gliomaParoxysomal nocturnal hemoglobinuria